Indications for Forceps delivery are all of the following EXCEPT:
1. Mento-anterior Face presentation
2. After coming head of breech
3. Prolonged second stage of labor
4. Intact membrane

Correct answer: 4. Intact membrane

Explanation: Ans. D i.e. Intact membranesThe membranes must be ruptured before application of forceps Forceps applicationIndicationsDelay in the second stage of laborLow birth weight babyPostmaturityMaternal distressAppearance of fetal distressCord prolapseAfter coming head of breechPre-eclampsiaPost-caesarean pregnancyConditions to be fulfilledMembranes must have rupturedHead must be engaged; station must be > +2No obstruction should be presentSuitable presentation and positionCervix must be fully dilated and effacedLive babyUterus should be actively contracting and relaxing